1 ml of 7.5% sodium bicarbonate provides:-
1. 0.5 meq bicarbonate
2. 0.9 meq bicarbonate
3. 1.1 meq bicarbonate
4. 1.5 meq bicarbonate

Correct answer: 2. 0.9 meq bicarbonate

Explanation: 1 ml of 7.5% sodium bicarbonate provides:- 0.9 meq bicarbonate